Burkitt's lymphoma shows which translocation?
1. 8:14
2. 9:22
3. 11:14
4. 14:18

Correct answer: 1. 8:14

Explanation: ANSWER: (A) 8: 14REF: Wintrobe's clinical hematology 12th edition page 1604.1605, http://en.wikipedia.org/wiki/ LymphomaSee APPENDIX-29 below for "TRANSLOCATION" APPENDIX - 29TranslocationThe International System for Human Cytogenetic Nomenclature (ISCN) is used to denote a translocation between chromosomes. The designation t (A; B) (pi; q2) is used to denote a translocation between chromosome A and chromosome B. The information in the second set of parentheses, when given, gives the precise location within the chromosome for chromosomes A and B respectively--with p indicating the short arm of the chromosome, q indicating the long arm, and the numbers after p or q refers to regions, bands and sub bands seen when staining the chromosome with a staining dyeTranslocationAssociated diseasesFused genes/proteinsFirstSecondt (8; 14) (q24; q32)Burkitt's lymphomac-myc on chromosome 8, gives the fusion protein lymphocyte-proliferative abilityIGH (immunoglobulin heavy locus) on chromosome 14, induces massive transcription of fusion proteint(ll;14) (ql3;q32)Mantle cell lymphomacyclin D1 on chromosome 11, gives fusion protein cell- proliferative abilityIGH (Immunoglobulin heavy locus) on chromosome 14, induces massive transcription of fusion proteint(14; 18) fq32;q21)Follicular lymphomaIGH (immunoglobulin heavy locus) on chromosome 14, induces massive transcription of fusion proteinBcl-2 on chromosome 18, gives fusion protein anti- apoptotic abilitiest(11; 18) (q21; q21)MALT lymphomas t(10; (various)) (q11; (various))Papillary thyroid cancerRET proto-oncogene on chromosome 10PTC (Papillary Thyroid Cancer)- Placeholder for any of several other genes/proteinst(2: 3) (ql3; p25)Follicular thyroid cancerPAX8 - paired box gene 8 on chromosome 2PPARyl (peroxisome proliferator-activated receptor y 1) on chromosome 3t(8 ;21) (q22; q22)Acute myeloblastic leukemia with maturationETO on chromosome 8AML1 on chromosome 21t(9;22) (q34;qll)PhiladelphiachromosomeChronic myelogenous leukemia (CML), acute lymphoblastic leukemia (ALL)Abl1 gene on chromosome 9BCR ("breakpoint cluster region" on chromosome 22t(15; 17)Acute promyelocytic leukemiaPML protein on chromosome 15RAR-tr on chromosome 17t(12; 15) (pl3; q25)Acute myeloid leukemia, congenital fibrosarcoma, secretory breast carcinomaTEL on chromosome 12TrkC receptor on chromosome 15t(9; 12) (p24; pl3)CML, ALLJAK on chromosome 9TEL on chromosome 12t(12; 21) (pl2; q22)ALLTEL on chromosome 12AML1 on chromosome 21t(l; 11) (q42.1; ql4.3)Schizophrenia t(2; 5) (p23; q35)Anaplastic large cell lymphoma t(ll; 22) (q24; qll.2- 12)Ewing's sarcoma t(17; 22)Dermatofibrosarcoma protuberans (DFSP) t(l; 12) (q21; pl3)Acute myelogenous leukemia t(X; IS) (pll.2- qll.2)Synovial sarcoma t(l; 19) (qlO; plO)Oligodendroglioma and oligoastrocytoma